Otomycosis is caused by -
1. Candida
2. Aspergillus
3. Both
4. None

Correct answer: 3. Both